All are characteristic radiological features of cardiogenic pulmonary edema except:
1. Bilateral infiltrates
2. Cardiomegaly
3. Kerlev B lines
4. Oligemia

Correct answer: 4. Oligemia

Explanation: Ans: D (Oligemia) Ref: Harrison's Principles of Internal Medicine 18th ed.Explanation:There are two basic types of pulmonary edema. One is cardiogenic edema caused by increased hydrostatic pulmonary capillary pressure.The other is termed non-cardiogenic pulmonary- edema, and is caused by either altered capillary membrane permeability or decreased plasma oncotic pressure.A helpful mnemonic for noncardiogenic pulmonary edema is NOT CARDIAC (near-drowning, oxygen therapy, transfusion or trauma, CNS disorder, ARDS, aspiration, or altitude sickness, renal disorder or resuscitation. drugs, inhaled toxins, allergic alveolitis, contrast or contusion.Chest X-ray Findings in Cardiogenic Pulmonary FdemaCephalization of the pulmonary vesselsKerlev B lines or septal linesPeribronchial cuffing"Bat wing" patternPatchy shadowing with air bronchogramsIncreased cardiac sizeUnilateral, miliary and 1obar or tower zone edema are considered atypical patterns of cardiac pulmonary edema.A unilateral pattern may be caused by lying preferentially on one side.Unusual patterns of edema may be found in patients with COPD who have predominant upper lobe emphysema.